Columella effect is seen in
1. Tympanoplasty
2. Septoplasty
3. Tracheostomy
4. None of the above

Correct answer: 1. Tympanoplasty

Explanation: Columella effect is seen in type 3 tympanoplasty (myringostapediopexy) where single ossicle remains just like that of bird's ear. In Type III tympanoplasty Malleus and incus are absent. Graft is placed directly on the stapes head. It is also called myringostapediopexy or columella tympanoplasty. Re: Textbook of Ear, Nose and Throat, Dhingra, 6th Edition, page 30.